Most common organism responsible for gas gangrene
1. Clostridium perfringens
2. Clostridium difficile
3. Clostridium tetani
4. Clostridium septicum

Correct answer: 1. Clostridium perfringens